Artery usually torn in temporal bone fracture is:
1. Middle meningeal artery
2. Posterior auricular artery
3. Transverse facial artery
4. Deep temporal artery

Correct answer: 1. Middle meningeal artery

Explanation: Ans. Middle meningeal artery